A 25-year-old person sustained an injury in the right eye. He developed right corneal opacity following the injury. The left eye was already having poor vision. Corneoplasty of the right eye was done and vision was restored. Medicolegally such injury is labelled as-
1. Grievous
2. Simple
3. Dangerous
4. Serious'

Correct answer: 1. Grievous

Explanation: The person had permanent vision loss as it was corrected by surgery (corneoplasty).
Permanent loss of sight of either eye is grievous hurt.